Which of the following drugs is not an antifungal agent?
1. Ciclopirox olamine
2. Ketoconazole
3. Undecylenic acid
4. Clofazimine

Correct answer: 4. Clofazimine

Explanation: Ketoconazole, Undecylenic acid and Ciclopirox olamine are Anti Fungal drugs. While Clofazimine is a antimycobacterial drug. Ref: KDT, 6th Edition, Pages 752, 757; Antituberculosis Chemotherapy, Volume, Page 169; Lippincott's Illustrated Reviews: Pharmacology, 4th Edition, Page 399; Basic and Clinical Pharmacology By Katzung, 10th Edition, Pages 772, 779